Patient X is diagnosed with constipation. As a knowledgeable nurse, which nursing intervention is appropriate for maintaining normal bowel function?
1. Assessing dietary intake
2. Decreasing fluid intake
3. Providing limited physical activity
4. Turning, coughing, and deep breathing

Correct answer: 1. Assessing dietary intake

Explanation: Assessing dietary intake provides a foundation for the client’s usual practices and may help determine if the client is prone to constipation or diarrhoea. Limited physical activity may contribute to constipation due to decreased peristalsis.
Turning, coughing and deep breathing help promote gas exchange. Fluid intake should be increased to aid bowel elimination.